Which of the following type of cataract is associated with shallow anterior chamber ?
1. Mature cataract
2. Hypermature cataract
3. Intumescent cataract
4. Incipient cataract

Correct answer: 3. Intumescent cataract

Explanation: In this, during cataract formation lens takes up fluid and markedly increase in size. It may encroach on the anterior chamber making it shallow, and can also cause pupillary block, angle crowding and acute angle closure. Normal depth of anterior chamber is 2.5mm in the center. Causes of shallow anterior chamber are: Primary narrow angle glaucoma Hypermetropia Postoperative shallow anterior chamber Malignant glaucoma Anterior perforations Anterior subluxation of lens Intumescent cataract Ref: Ophthalmology By Khurana page 21. Salmon J.F. (2011). Chapter 11. Glaucoma. In P. Riordan-Eva, E.T. Cunningham, Jr. (Eds), Vaughan & Asbury's General Ophthalmology, 18e.